Krait poisoning is:
1. Vasculotoxic
2. Neurotoxic
3. Cardiotoxic
4. Haemotoxic

Correct answer: 2. Neurotoxic

Explanation: B i.e. Neurotoxic Ophistoxemia is poisoning by snake venomQ. Belly scales are large and cover the entire breadth of the belly in poisonous snakes. - Viper venom is vasculotoxicQ (Mnemonic V2) and contains hemolysin, cytolysis & thromboplastinQ, which lit coagulation abnormalities. Elapid (ie Cobra, Krait) venom is mainly neurotoxic and rich in cholinesterase & cardiotoxins. Sea snake (Hydrophidae) venom is myotoxic. - Polyvalent Snake Antivenin (PAV) is prepared by hyperimmunizing horse against the 4 common poisonous snakes ie Cobra (Naja Naja), common Krait (Bungarus caerulus), Russel's viper (Daboia russel) and Saw scaled viper (Echis carinata)Q. - Indications for anti venom therapy after snake bite. 1. Rapidly progressive & severe local findingsQ as soft tissue swelling, ecchymosis, petechiae etc. 2. Manifestations of systemic toxicityQ as signs & symptoms of laboratory anormalities.